Chloroquine is given in high loading dose because of :
1. High volume of distribution
2. Poor GIT absorption
3. High first pass metabolism
4. All

Correct answer: 1. High volume of distribution